True about obsessive compulsive disorders are all except:
1. Obsessions are ego alien
2. Patient tries to resist against obsessions and compulsions
3. Obsessions are egosyntonic
4. Insight is present

Correct answer: 3. Obsessions are egosyntonic

Explanation: Obsessions are ego dystonic and not ego syntonic. Obsessive-compulsive disorder Obsessions are Recurrent, intrusive thoughts images or impulses, which cause anxiety Patient considers them as a product of their own mind (D/d thought insertion) Patient finds them excessive, irrational and senseless, at some time during the illness (D/d delusions) Patient tries to resist or neutralize them Ego dystonic (not acceptable to self) With good insight/poor insight/absent insight (delusional belief)